A 56 year old patient presents after 3 days of cataract surgery with a history of increasing pain and diminution of vision after an initial improvement. The most likely cause would be:
1. Endophthalmitis
2. After cataract
3. Central retinal vein occlusion
4. Retinal detachment

Correct answer: 1. Endophthalmitis

Explanation: Ans. is 'a' i.e. EndophthalmitisRef Khurana 2nd/e p 208Symptoms of the patient suggest - endophthalmitisClinical features of endophthalmitis -It is an early complication of cataract surgery, usually seen after 48-72 hours of surgeryIt is caused due to bacterial infectionThe sources of infection are usually contaminated solutions, instruments, surgeon's hands, patient's own flora from conjunctiva, eye lids and air borne bacteria.Signs and symptomsOcular pain Diminished vision Lid edemaConjunctival chemosisMarked Circumciliary congestion Corneal edema Exudates in pupillary area HypopyonAbsent red pupillary glow.About other options -After cataract and Retinal detachment usually occur after weeks, months or years of cataract surgery. Central retinal vein obstruction - it has nothing to do with cataract surgery